Ring of Soemmering is seen in –
1. Galactosemia
2. Dislocation of lens
3. Acute congestive glaucoma
4. After cataract

Correct answer: 4. After cataract

Explanation: Ring of sommerring and Elsching's pearls are seen in after cataract.